Category 'C' Bioterrorism agent among the following
1. Plague
2. Clostridium Perfringens
3. Nipah virus
4. Botulism

Correct answer: 3. Nipah virus